Anticentromere antibodies are most commonly associated with :
1. Diffuse cutaneous systemic sclerosis
2. Mixed connective tissue disease
3. CREST syndrome
4. Polymyositis

Correct answer: 3. CREST syndrome

Explanation: Answer is C (CREST syndrome): Anticentromere antibodies are characteristic of CREST syndrome. Anticentromere antibodies are present in 40 - 80% of patients with limited cutaneous scleroderma or crest syndrome. Anticentromere antibodies are found in only about 2% to 5% of patients with diffuse cutaneous scleroderma, and rarely in other connective tissue disease.-